Derivatives of midgut ?
1. Rectum
2. Appendix
3. Liver
4. Stomach

Correct answer: 2. Appendix

Explanation: Ans. is 'b' i.e., Appendix The gut is endodermal in origin and is derived from yolk sac. Developing gut is divided into :?Foregut :- Artery of foregut is coeliac trunk. Foregut derivatives of GIT are esophagus, stomach, duodenum (upto opening of main pancreatic duct), liver and pancreas.Midgut :- Artery of midgut is superior mesenteric artery. GIT derivatives of midgut are duodenum (distal to opening of main pancreatic duct), small intestine (jejunum, ileum), appendix, cecum, ascending colon and proximal (right) 2/3 of transverse colon.Hindgut :- Artery of hindgut is inferior mesenteric artery. Hindgut derivatives are distal (left) 1/3 of transverse colon, descending colon, proximal part of rectum. Caudal part of hind gut is called cloaca. Distal part of rectum and upper part of canal are developed from endodermal cloaca.